Most sensitive test for the diagnosis of herpes simplex (HSV) encephalitis is?
1. Cerebrospinal fluid (CSF) protein analysis
2. HSV culture
3. HSV IgG antibody
4. HSV polymerase chain reaction

Correct answer: 4. HSV polymerase chain reaction

Explanation: Ans. D. HSV polymerase chain reactiona. HSV encephalitis is the most common cause of acute sporadic encephalitis in the world.b. 95% of cases are due to HSV1.c. Age distribution appears to be biphasic, with peaks at ages 5 to 30 years and more than 50 years of age.d. It may follow a primary infection/reactivation of latent virus in the neurons.e. HSV meningitis or encephalitis is difficult to diagnose by laboratory tests, as there is a low titer of virus present in the cerebrospinal fluid.f. Only PCR is sensitive enough to detect HSV DNA in the CSF.